Fertilization of sperm & ova takes place at
1. Ampullae
2. Infundibulum
3. Isthmus
4. Fimbrial End

Correct answer: 1. Ampullae